Tuberculoid leprosy is characterised by?
1. Non caseating granuloma in nerve
2. Sub epidermall free zone
3. Bacilli in skin
4. Skin caseation

Correct answer: 1. Non caseating granuloma in nerve

Explanation: A. i.e. Non caseating granuloma in nerve